Which of the following pubertal events in girls is not estrogen dependant :
1. Menstruation
2. Vaginal cornification
3. Height spurt
4. Hair growth

Correct answer: 4. Hair growth

Explanation: One hormone in particular - testosterone regulates the function of the reproductive organs but is also responsible for hair loss. If testosterone combines with another hormone, 5-alpha reductase to form an end product called dihydrotestosterone (DHT) then hair loss occurs as male pattern baldness